Maflucci syndrome is associated with which bone tumor?
1. Enchondroma
2. Osteochondroma
3. Multiple myeloma
4. Chondrosarcoma

Correct answer: 1. Enchondroma

Explanation: Ans. is 'a' i.e., Enchondrome Enchondroma:* Enchondroma is a benign tumor characterized by the formation of mature hyaline cartilage. It occurs between the ageof 15-35 years with no sex predliction. The most common site is short tubular bones of hand, i.e., Phalanges (most common) and metatarsals. When tumor is located centrally in the bone, it is called enchondroma. When it islocated on the surface (juxta-cortical) it is called chondroma.* Mostly enchondromas are solitary, however following syndromes may have multiple enchondroma :-i) Ollier's disease: - It is a form of bone dysplasia where there are multiple enchondromas about themetaphysis and diaphysis of bones.ii) Maffuccis syndrome: - Multiple enchondromas with multiple hemagiomas.